Anterior chamber depth:
1. Increases with age
2. Is lesser in women
3. Is lesser in myopes
4. Has hardly any effect on anterior chamber volume

Correct answer: 2. Is lesser in women

Explanation: Ans. Is lesser in women